Contraindications to ventouse delivery include all of the following except :
1. Fetal coagulopathies
2. Extreme prematurity
3. Mento transverse position
4. Occipito transverse position

Correct answer: 4. Occipito transverse position

Explanation: Occipito transverse position